At what cervical level spinal cord circumference is maximum?
1. C4
2. C5
3. C6
4. C7

Correct answer: 3. C6

Explanation: Maximum spinal cord circumference is at level c6 BD CHAURASIA S HUMAN ANATOMY Vol1